Anesthesia of choice for induction in children among the following is:
1. Desflurane
2. Halothane
3. Sevoflurane
4. Isoflurane

Correct answer: 3. Sevoflurane

Explanation: o Sevoflurane is a sweet smelling anesthetic agent and has fast onset of action. Hence it is the preferred agent for induction o Desflurane has the fastest onset of action but has a pungent smell and can cause laryngospasm o Isoflurane has an irritant smell and hence not used for induction o Halothane can be used for induction